Primary amenorrhea with anosmia is seen in -
1. Kallman syndrome
2. Rokitanky syndrome
3. Refenstein syndrome
4. Turner syndrome

Correct answer: 1. Kallman syndrome